Parametric test are all except:
1. Chi-square test
2. Z test
3. Paired test
4. Pearson correlation

Correct answer: 1. Chi-square test